The skin of the neck is supplied by:
1. 1st, 2nd, 3rd cervical nerves.
2. 2nd, 3rd, 4th cervical nerves.
3. 3rd, 4th, 5th cervical nerves.
4. All of the above.

Correct answer: 2. 2nd, 3rd, 4th cervical nerves.